Avascular necrosis of bone is most commonly seen in
1. Calcaneus
2. Cervical spine
3. Scaphoid
4. Scapula

Correct answer: 3. Scaphoid

Explanation: C i.e. Scaphoid